The specific activity of an enzyme would be reported in which of the following units of measures?
1. Millimoles per liter
2. Units of activity per milligram of protein
3. Micromoles per minute
4. Units of activity per minute

Correct answer: 2. Units of activity per milligram of protein

Explanation: The specific activity of an enzyme is another common unit. This is the activity of an enzyme per milligram of total protein (expressed in mmol min-1mg-1). Specific activity gives a measurement of enzyme purity in the mixture.